Anaesthetic management of 12 year old with Down syndrome includes all of the following, except
1. Continue anti-seizure medications
2. Heavy sedation since all such patients are combative
3. Prepare for manual in line neck stabilization
4. Radiographs of the neck should be reviewed to rule out atlanto occipital instability

Correct answer: 2. Heavy sedation since all such patients are combative

Explanation: Downs syndrome patients often have difficult airway. There is no need to heavily sedate the patient.